Which of the following cephalosporins does not need dose modifications even in presence of raised levels of GFR?
1. Cefipime
2. Cefoperazone
3. Cefotaxim
4. Cefuroxime

Correct answer: 2. Cefoperazone

Explanation: Cefoperazone does not require dose adjustment when used in a patient with reduced GFR, as this drug is primarily excreted through the bile. Ref: Goodman and Gilman's The Pharmacological Basis of Therapeutics, 10th Edition, Page 1210; Essentials of Medical Pharmacology By K D Tripathi, 5th Edition, Pages 664-6; KDT 6th Edition, Page 706